About Neuropeptide Y, all are true except
1. It decreses the activity of melanocoieotropin hormone
2. Decreases thermogenesis
3. Its level decreases during starvation
4. Contains 36 Amino-acid residues

Correct answer: 3. Its level decreases during starvation

Explanation: Neuropeptide Y (NPY) is a 36-amino acid peptide neurotransmitter found in the brain and autonomic nervous system. It augments the vasoconstrictor effects of noradrenergic neurons.A natural substance that acts on the brain to stimulate eating. When energy stores of the body are low (as in starving), orexigenic neurons are activated to release NPY, which stimulates appetite. At the same time, firing of thePOMC neurons are reduced, thereby decreasing the activity of the melanocortin pathway and further stimulating appetite.Substances that block the NPY receptor reduce the appetite. Leptin, a hormone that stimulates weight loss, reduces the output of NPY from the hypothalamus, a major production centre. Another natural substance that stimulates the urge to eat is peptide YY.Ref: Ganong's review of medical physiology; 24th edition; page no:-264